Minimum number of people for a group discussion are
1. 8
2. 6
3. 5
4. 4

Correct answer: 2. 6

Explanation: For effective group discussion, the group should not be less than 6 and more than 12 members.